A 33-year-old man is complaining of feeling thirsty all the time and passing more urine than usual. His physical examination is normal, except for a JVP at the sternal angle. His serum sodium is 150 mEq/L, glucose 120 mg/dL, and osmolality 315 mOsm/kg. The urine sodium is 20 mE/L and osmolality 260 mOsm/kg. Which of the following drugs is most likely to cause this disorder?
1. lithium
2. cyclophosphamide
3. barbiturates
4. nicotine

Correct answer: 1. lithium

Explanation: Nephrogenic diabetes insipidus can be caused by drugs such as lithium, metabolic factors, vascular disease, ureteral obstruction, and genetic factors.